What is the uppermost intercostals space used for hepatic biopsy -
1. 7th
2. 10th
3. 5th
4. 9th

Correct answer: 1. 7th

Explanation: Proper identification of the biopsy site is of paramount importance. To choose the site, start with percussion over the right upper quadrant. The biopsy site is usually located in the seventh or eighth intercostal space in the midaxillary line. The site can be further confirmed with either routine ultrasonography or a bedside portable ultrasound machine. be sure to eliminate the possibility of bowel juxtaposition along the biopsy tract. Ref Davidson edition23rd pg864